Which of the following is commonest source of Extradural haemorrhage:
1. Middle meningeal artery
2. Subdural venous sinus
3. Charcot's artery
4. Middle cerebral artery

Correct answer: 1. Middle meningeal artery

Explanation: Ans is 'a' ie Middle meningeal artery (Ref. Chandrasoma Taylor, 3/e, p 924)"Extradural Haemorrhage is an accumulation of blood between the skull and the dura. In 90% of cases, bleeding is from a branch of the middle meningeal artery". ChandrasomaAlso remember *Subdural Haemorrhage, commonest source is - communicating veins b/w the cerebral cortex and superior sagittal sinus.Intracerebral Haemorrhage, commonest source is - lenticulostriate arteries in the region around the basal ganglia* and internal capsule. It is frequently d/t rupture of Charcot-Bouchard aneurysms in the lenticulostriate arteries.Subarachnoid Haemorrhage - MC cause is rupture of Berry aneurysms.